The standard of care in splenectomy patients involves the use of all the above vaccines except
1. H Influenzae type b
2. Meningococcal vaccine
3. Pneumococcal vaccine
4. Typhoid vaccine

Correct answer: 4. Typhoid vaccine

Explanation: Currently, the standard of care for postsplenectomy patients includes immunization within 2 weeks of splenectomy with: Polyvalent pneumococcal vaccine (PPV23), H. influenzae type b conjugate, and Meningococcal polysaccharide vaccine Ref - Bailey and love 27e Liver p1175